A 30 years old primipara in labour with transverse lie, treatment of choice is:
1. Internal cephalic version
2. Emergency cesarean section
3. Wait and watch
4. External cephalic version

Correct answer: 2. Emergency cesarean section

Explanation: Patient in labour with transverse lie can be managed by external cephalic version followed by surgical rupture of the membrane. But it is important to note that the patient is a primigravida with 30 years, i.e, elderly primi so ECV is contraindicated So this patient requires an emergency cesarean section. Ref : Datta Obs 9e pg 372, Williams Obs 23e pg 478.